Which of the following is more in mother's milk when compared to bovine milk?
1. Vitamin D
2. Lactose
3. Fat
4. Proteins

Correct answer: 2. Lactose

Explanation: On comparing human milk to cow's milk, the level of lactose is higher in human milk. Human milk has a lactose content 7.4 gms while the cow's milk has only 4.4 gms. While vitamin D, fat and proteins are more in cow's milk. Ref: Park's Textbook of Preventive and Social Medicine 19th Edition; Page 499.